Which major nutrient is richly present in mothers hind milk ?
1. Fat
2. Protein
3. Carbohydrate
4. Water

Correct answer: 1. Fat

Explanation: Breast milk is rich in polyunsaturated fatty acids, necessary for myelination of nervous system. It also contains omega 2 and Omega 6 fatty acids which are necessary for formation of prostaglandin and cholesterol, required as base for steroid hormones. Reference: GHAI Essential pediatrics, 8th edition